Which one of the following is the standard prescribed for setback (open space around the house) in rural areas"
1. Built up area 1/3 and open space 2/3
2. Built up area 2/5 and open space 3/5
3. Built up area 4 and open space 'A
4. Built up area 'A and open space 3/4

Correct answer: 1. Built up area 1/3 and open space 2/3

Explanation: Ans. is 'a' i.e., Built up area 1/3 and open space 2/3